All are seen in primary extraglandalar sjogrens syndrome except ?
1. Rheumatoid arthritis
2. Raynaud's disease
3. Lymphoma
4. Splenomegaly

Correct answer: 1. Rheumatoid arthritis

Explanation: Ans. is 'a' i.e., Rheumatoid arthritisPrimary Sjogren syndrome is not associated with other autoimmune disorders, e.g. Rheumatoid arthritis.Sjogren syndrome occurs in elderly (50-60 yrs) female.